Enterovirus causes all except-
1. Haemorrhagic fever
2. Pleurodynia
3. Herpangina
4. Aseptic Meningitis

Correct answer: 1. Haemorrhagic fever

Explanation: Enteroviruses do not cause hemorrhagic fever.